Which of the following anticancer drugs can cross blood brain barrier ?
1. Cisplatin
2. Nitrosourea
3. Vincristine
4. Vinblastine

Correct answer: 2. Nitrosourea